All are features of iridocyclitis except
1. Pain
2. Mucopurulent discharge
3. Constricted pupil
4. Circum corneal congestion

Correct answer: 2. Mucopurulent discharge

Explanation: Ans) b (Mucopuntlent discharge) Ref: Kansk, 6th ed p447-448Mucopurulent discharge is seen in conjunctivitis Symptoms of iridocyclitis-Sudden onset painPhotophobiaRednessLacrimationSignsVisual acuity decreased,Circumcomeal congestionMiosisKeratic precipitatesAqueous cells and flare, hypopyon occAnterior vitreous cellsPosterior synechiaLow IOP